IQ of 15 is which grade of mental retardation ?
1. Mild
2. Moderate
3. Borderline
4. Profound

Correct answer: 4. Profound

Explanation: Ans. is.'d' i.e., Profound Category IQ Normal intelligence > 90 Borderline intelligence 70 - 89 Mental retardation Mild MR Moderate MR Severe MR Profound MR 50 - 69 35 - 49 20-34 0-19